Which of the following is a feature ofdisseminated intravascular coagulation (DIQ)?
1. Normal prothrombine time
2. Reduced plasma fibrinogen
3. Normal platelet count
4. Normal clotting time

Correct answer: 2. Reduced plasma fibrinogen

Explanation: In DIC, Prothrombin time is prolonged due to severe fibrinogen deficiency . Plasma fibrinogen levels are reduced due to consumption in microvascular coagulation. Platelet count is reduced due to aggretation & adhesion of platelets (as a result of endothelial damage associated with DIC)Reference : Harsh mohan textbook of pathology 6th edition pg no 338.